Carboxylases requires -
1. Vitamin B12
2. Folic acid
3. Niacin
4. Biotin

Correct answer: 4. Biotin

Explanation: Ans. is 'd' i.e., Biotin o Biotin is a coenzyme for carbon dioxide fixation reactions.o It serves as prosthetic group of ATP-dependent carboxylase, i.e., in carboxylation reactionQ,o It acts as coenzyme tor acetyl-CoA carboxylaseQ, propionyl-CoA carboxylaseQ, pyruvate carboxylaseQ and metbylcartonyl-CoA carboxylase.